A young man with blurring of vision in right eye, followed by left eye after 3 months, showing disc hyperemia, edema, circumpapillary telangiectasia with normal pupillary response with centrocecal scotoma on perimetry, the cause is:
1. Typical optic neuritis
2. Acute Papilledema
3. Toxic optic neuropathy
4. Leber's hereditary optic neuropathy

Correct answer: 4. Leber's hereditary optic neuropathy

Explanation: D. i.e. Leber's hereditary optic neuropathy